Oval cells are seen in the stem cells of
1. Skin
2. Cornea
3. Liver
4. Bone

Correct answer: 3. Liver